A teenage girl presents to the clinic with multiple white spots present on her upper trunk. On examination, there are multiple white macules which shows scaling on scraping the lesion. KOH mount of the lesion has revealed the organism. What is the most likely causative agent?
1. Malassezia furfur
2. T. Rubrum
3. E. flocculosum
4. Candida albicans

Correct answer: 1. Malassezia furfur

Explanation: This patient is suffering from Tinea versicolor, a mild superficial infection caused by Malassezia furfur. Tinea versicolor: Presents as multiple, small, hypo pigmented macules over chest and back of young adults. They begin as perifollicular macules which then merge together. Diagnosis: 10% KOH mount shows large blunt hyphae with thick walled budding spores (spaghetti and meat ball appearance). Green fluorescence on wood's lamp Treatment: Topical treatment includes use of selenium sulfide lotion or ketoconazole shampoo. Systemic therapy is done using ketoconazole or fluconazole.